Duration of treatment for multibacillary and paucibacillary leprosy is
1. 24 months and 12 months
2. 6 months and 12 months
3. 12 months and 6 months
4. 12 months and 24 months

Correct answer: 3. 12 months and 6 months

Explanation: Multibacillary (MB) leprosyFor adults, the standard regimen is Rifampicin: 600 mg once a month Dapsone: 100 mg daily Clofazimine: 300 mg once a month and 50 mg daily Duration= 12 months.Paucibacillary (PB) leprosyFor adults, the standard regimen is Rifampicin: 600 mg once a month Dapsone: 100 mg daily Duration= six monthsSingle Skin Lesion Paucibacillary leprosyFor adults, the standard regimen is a single dose of Rifampicin: 600 mg Ofloxacin: 400 mg Minocycline: 100 mg